Congenital hydrocele is best treated by:
1. Eversion of sac
2. Excision of sac
3. Lords procedure
4. Herniotomy

Correct answer: 4. Herniotomy

Explanation: Congenital hydrocele (Communicating hydrocele) Patent processus vaginals allows peritoneal fluid to freely communicate. Size of hydrocele fluctuates, usually related to activity Congenital hernia has the same defect. UDT are commonly associated. Wait for 2 years for spontaneous closure. Otherwise the treatment is herniotomy